Secretory Ig is:
1. IgA
2. IgE
3. IgM
4. IgD

Correct answer: 1. IgA